Which of the following is least likely to be associated with Infective Endocarditis -
1. Small ASD
2. Small VSD
3. Mild MR
4. Mild MS

Correct answer: 1. Small ASD